The drug NOT used in psoriasis is
1. Psoralens
2. Chloroquine
3. Methotrexate
4. Coaltar

Correct answer: 2. Chloroquine

Explanation: (B) Chloroquine # TREATMENT OF PSORIASIS: Locally by Topical coaltar.> Wide spread Psoriasis: by Ultraviolet fi-spectrum alone or along with coaltar (Geockerman regimen) or Anthranil (Ingram regimen)> Methotrexate Therapy: Methotrexate is drug of choice in Very Severe form of Psoriatic arthritis & Methotrexate is indicated in Psoriatic erythroderma, Generalized pustular psoriasis, Intractable & Crippling psoriasis.> Psoralens & Ultraviolet-A phototherapy (PUVA): is successful in clearing & delaying recurrence of Chronic Psoriasis.> Etritinate, & its metabolite Acitretin, are Retinoids (Vitamin A derivatives): useful for Severe Resistant Psoriasis.> Systemic drugs useful in Psoriasis: Hydroxyurea, Razoxane & Azathioprine; Cyclosporin A and Topical Vitamin-D3